When two different chemicals act on two different receptors and their response is opposite to each other on the same cell, this is called as:
1. Physiological antagonism
2. Chemical antagonism
3. Reversible antagonism
4. Competitive antagonism

Correct answer: 1. Physiological antagonism